The etching of intact enamel with phosphoric acid produces:
1. an increases in surface area
2. a decrease in surface area
3. An increase in chemical bonding capabilities
4. a decrease in chemical bonding capabilities

Correct answer: 1. an increases in surface area